Premature ejaculation is due to defect in which phase:
1. Orgasm phase
2. Excitement phase
3. Resolution phase
4. Plateau phase

Correct answer: 1. Orgasm phase

Explanation: Premature ejaculation -Repeated ejaculation in less than 1 minute * Defect in orgasm phase Sexual response cycle (1) Desire * Hypoactive sexual desire disorder- Lack of desire sexual activity - Seen in females (2) Excitement * Erection * Vaginal lubrication * Erectile dysfunctions in males - anxiety most common cause - PDE -5 INHIBITORS - D/O/C (3) Orgasm* Premature ejaculation -Repeated ejaculation in less than 1 minute (4) RESOLUTION - 10- 15 minutes